Which of the following is not caused by Oxytocin?
1. Milk ejection
2. Lactogenesis
3. Contraction of uterine muscles
4. Myoepithelial cell contraction

Correct answer: 2. Lactogenesis

Explanation: oxytoxin donot causelactogenesis it auses nmilk ejection , contraction of uterus and myo epithelil cells contraction Ref KD T ripathi 8th ed.